Thick pasty increased salivation seen in new complete denture wearer is mainly due to:
1. Reflex parasympathetic stimulation of the salivary gland.
2. Hypersensitivity to the denture base.
3. Reflex sympathetic stimulation of the salivary gland.
4. All of the above.

Correct answer: 3. Reflex sympathetic stimulation of the salivary gland.

Explanation: Thick pasty saliva us due to sympathetic stimulation of the salivary gland while watery saliva us due to parasympathetic stimulation